Tropomyosin
1. Helps in the fusion of actin and myosin
2. Prevents attachment of actin and myosin
3. Slides over myosin
4. Causes Ca2+ release

Correct answer: 2. Prevents attachment of actin and myosin

Explanation: The active site of actin in skeletal muscles is where myosin binds. This is covered by Tropomyosin.